Patients has G6PD deficiency often have an increased susceptibility to infection, which in turn may precipitate a hemolytic episode. What is the most likely underlying mechanism for the increased risk of infection?
1. Decreased amount of glutathione in the white blood cells
2. Decreased amount of reduced nicotinamide adenine dinucleotide phosphate (NADPH) in the white blood cells
3. Defective phagocytosis
4. Deficiency of myeloperoxidase

Correct answer: 2. Decreased amount of reduced nicotinamide adenine dinucleotide phosphate (NADPH) in the white blood cells

Explanation: Acute hemolytic episodes in patients with glucose 6phosphate dehydrogenase (G6PD) deficiency are most commonly precipitated by infection. Increased susceptibility to infection in these patients is related to a decrease in reduced nicotinamide adenine dinucleotide phosphate (NADPH) synthesis in neurophil s and monocytes. NADPH is an essential component of the oxygen-dependent myeloperoxidase system, an important means of eliminating bacteria. NADPH acts with NADPH oxidase to convert molecular oxygen into a superoxide free radical, generating the respiratory burst responsible for the destruction of bacteria. Absence of NADPH, as a result of G6PD deficiency, interferes with this important bactericidal mechanism, thus rendering the patient susceptible to infection.